Type of infarct seen in heart is
1. Red infarcts
2. White infarcts
3. Septic infarcts
4. Bland infarcts

Correct answer: 2. White infarcts

Explanation: Infarcts are classified according to color and the presence or absence of infection; they are either red (hemorrhagic) or white (anemic) and may be septic or bland. White infarcts occur with arterial occlusions in solid organs with end-arterial circulation (e.g: heart, spleen, and kidney), and where tissue density limits the seepage of blood from adjoining capillary beds into the necrotic area.Ref: Robbins and Cotran Pathologic Basis of Disease; 9th edition; Chapter 4; Hemodynamic Disorders, Thromboembolic Disease, and Shock; Page no: 130